Isotope used for RAIU is ?
1. 1-123
2. 1-137
3. 1-125
4. None

Correct answer: 1. 1-123

Explanation: Ans. is'a'i.e., I-123Radio-active iodine uptake (RAIU) test is used to measure thyroid function.Usual isotope of radioiodine used b I-123.